Non rigid fixation devices is/are:
1. Transosseous wire.
2. Kirschner wire.
3. Both of the above.
4. None.

Correct answer: 3. Both of the above.